Which of the following is mechanism of action of abortion stick?
1. Stimulation of uterine contraction
2. Prevents fertilization
3. Prevents implantation
4. Prevents blastocyst formation

Correct answer: 1. Stimulation of uterine contraction

Explanation: Ans. is 'a' i.e., Stimulation of uterine contraction o Abortion stick is used for criminal illegalabortion of uterus by unskilled personnel.o The main mechanism of abortion stick is irritant which induces uterine contraction and thus expulsion of fetus.o It is made from 15 - 20 cm long wooden bamboo stick coated with some irritant plant like madar, chitra, kaner over one of its ends, over cotton or piece of rag.o Abortion is caused with introduction of abortion stick in the uterus, with or without rupture of membranes.o Excoriation, bruising or perforation of uterus or vagina can occur as a result of the irritant action of madar, chitra, or kaner.